Which of the following autoantibody is least likely associated with SLE
1. Anti ds- DNA
2. Anti Sm
3. Anti topoisomerase
4. Anti histone

Correct answer: 3. Anti topoisomerase

Explanation: Ref Robbins 9/e p219 Anti topoisomerase is least commonly associated with SLE amongst the given options .The following is a modified table for a reference from Robbins Autoantibody (Specificity) Major Disease Association(s) Likely Role(s) in Disease Anti-dsDNA (double-stranded DNA) SLE* Formation of immune complexes Anti-Sm (ribonuclear core protein, Sm antigen) SLE* Formation of immune complexes Anti-RNP U1 (ribonuclear protein) SLE, mixed connective tissue disease Formation of immune complexes Anti-SS-A (Ro), anti-SS-B (La) (ribonucleoproteins) Sjogren syndrome, SLE Role in Sjogren syndrome not known Anti-Scl-70 (DNA topoisomerase I) Systemic sclerosis* Unknown Anti-histones (histone proteins) SLE Formation of immune complexes Anti-centromere (centromere proteins) Limited scleroderma, systemic sclerosis* Unknown Antiphospholipid (phospholipid-protein complexes involved in blood coagulation) Antiphospholipid syndrome, SLE Thrombotic episodes Anti-Jo1 (histidyl tRNA ligase) Inflammatory myopathies* Unknown Anti-mitochondrial Primary biliary cirrhosis* Unknown Anti-eTg (transglutaminase) Dermatitis herpetiformis Unknown Anti-neutrophil cytoplasmic antibody (ANCA) (proteins in neutrophil cytoplasm) Various vasculitides* Formation of immune complexes? Neutrophil degranulation? Anti-smooth muscle Chronic autoimmune hepatitis Unknown